Which of the following is not true regarding Lewy body dementia?
1. Fluctuating cognitive impairment
2. Cerebellar symptoms
3. Recurrent visual hallucinations
4. Neuroleptic sensitivity

Correct answer: 2. Cerebellar symptoms

Explanation: Ans. B. Cerebellar symptomsDementia with Lewy Bodies (DLB): core features:1. Fluctuating cognition with pronounced variations in attention & alertness2. Recurrent visual hallucinations-- typically well formed & detailed3. Spontaneous motor features of parkinsonism* Patient with DLB, are sensitive to antipsychotic induced EPS* Lewy bodies-- comprised of abnormal fibrillar deposits of a-synuclein.* Normally, a-synuclein is a protein located in presynaptic axon terminals, presumed to have a role in synaptic function.